A woman with infertility receives an ovary transplant from her sister who is an identical twin. What type of graft it is?
1. Xenograft
2. Autograft
3. Allograft
4. Isograft

Correct answer: 4. Isograft

Explanation: The graft is the tissue or organ transplanted. A graft taken from individual and placed on another individual of the same genetic constitution is called isograft. Examples are graft made between identical twins or between syngeneic members of highly inbred strains of animals. Reference : Anathanarayan & paniker's 9th edition, pg no:183